Boundaries of quadrilateral space include all EXCEPT
1. Teres major
2. Long head of triceps
3. Neck of humerus
4. Deltoid

Correct answer: 4. Deltoid

Explanation: The quadrangular space is bounded by superiorly teres minor inferior teres major medial triceps laterally humerus